Auto-an bodies against the Alpha enolase of endothelial cells is used in?
1. Pauci-aicular JRA
2. Autoimmune hepatitis
3. Myasthenia gravis
4. Behcets syndrome

Correct answer: 4. Behcets syndrome